Bifurcation af trachea takes place at -
1. T2 - T5
2. C6 - C7
3. C3 - C4
4. T10 - T11

Correct answer: 1. T2 - T5

Explanation: Ans. is 'a' i.e., T2-T5o Bifurcation of Trachea occurs at T4-T5 intervertebral disc level. Which corresponds anteriorly to sternal angle (manubrio-sternal junction).StructureCervico thoracic levelTracheal bifurcationT4-T5Arch of aortaBegins and ends at T4Xiphoid processT9Splenic axisAlong 10th ribCarotid bifurcation. Hyoid boneC3Upper border of thyroid cartilageC4Level of cricoids cartilage06 Lumbar levelCeliac trunkT12-L1Superior mesenteric arteryLITranspyloric planeLower border of LITermination of spinal cordLower border of LI in adults and upper border of L3 in newbornPancreasL1-L2Left renal veinL2Inferior mesenteric artery'13UmbilicusL3Aortic bifurcationL4Transtubercular planeL5Common iliac ends atL5-S1